Amylin is secreted by which of the following cells of Islets of Langerhans?
1. a cells
2. b cells
3. d cells
4. F cells

Correct answer: 2. b cells

Explanation: The beta cells, constituting about 60 percent of all the cells of the islets, lie mainly in the middle of each islet and secrete insulin and amylin, a hormone that is often secreted in parallel with insulin, although its function is not well understood.